Hallucinations are produced by-
1. Amphetamine
2. Morphine
3. Paraxetine
4. Chlorpromazine

Correct answer: 1. Amphetamine

Explanation: Ans. is 'a" i.e.. Amphetamineso Amphetamine psychosis mimic paranoid schizophrenia. There may be deleusions and hallucinations.Amphetamine abuseo Amphetamine is a powerful CNS stimulator. It acts on norepinephrine release in brain, along with an action on release of dopamine and serotonine. Amphetamine abuse may cause : -Acute intoxication : - Symptoms of acute intoxication are : -Cardiovascular: - Tachycardia, hypertension, Cardiac failure. Cardiovascular shock.CNS: - Euphoria, seizures, hyperpyrexia, tremors, ataxia, pupillary dilatation.Neuropsychiatric: - Anxiety, panic, insomnia, restlessness, irritability.Paranoid hallucinatory syndrome : - Closely mimics paranoid schizophrenia. It is also known as amphetamine psychosis. There may be idea of reference, delusion of persecution. Auditory or visual hallucination in a setting of clear consciousness.Chronic abuse : - It causes : -Severe and compulsive craving for the drug.Cycle of *runs * (heavy use for several days) followed by *Crashes * (stopping the drug use).Tactile hallucination (formination).